Indication for the induction of labour is :
1. Placenta previa
2. PIH at term
3. Heart disease at term
4. Breech

Correct answer: 2. PIH at term

Explanation: Indications for induction of labour : Pre-eclampsia /eclampsia Abruptio placenta PROM Chorioamnionitis Chronic hydromnios/Oligohydromnios Post maturity Congenital malformation of fetus Ref: Williams Obs 24e pg 523, Datta Obs 9e pg 485.